Local anesthetics:
1. Block the release of neurotransmitters
2. Blocks the influx of sodium into the cell
3. Increase the release of inhibitory neurotransmitters
4. Inhibit the efflux of sodium from neurons

Correct answer: 2. Blocks the influx of sodium into the cell

Explanation: Ans. (B) Blocks the influx of sodium into the cell(Ref: KDT 8th/e p388, 389)LA block nerve conduction by inhibiting Na+ entry during upstroke of action potential.